Triage is defined as -
1. Treating the most serious cases
2. Categorisation of the patients and treating them according to the available resource
3. Cautery burns
4. Treating mentally ill patients

Correct answer: 2. Categorisation of the patients and treating them according to the available resource

Explanation: Ans. is 'b' i.e., Categorisation of the patients and treating them according to the available resource Triage* When the quantity and severity of injuries overwhelm the operative capacity of health facilities, a different approach to medical treatment must be adopted.* The usual principle of first come, first treated", is not followed in mass emergencies.* Triage consists of rapidly classifying the injured and the likelyhood of their survival with prompt medical intervention.* Higher priority is granted to victims whose immediate or long-term prognosis can be dramatically affected by simple intensive care.* Moribund patients who require a great deal of attention, with questionable benefit have the lowest priority.* The most common triage classification system used international is four colour code system.1. Red - High priority treatment or transfer2. Yellow - Medium priority3. Green - Ambulatory patients4. Black - Dead or moribund patients